Morula has how many cells
1. 8
2. 16
3. 32
4. 64

Correct answer: 2. 16

Explanation: Morula is a 16 cell stage Advanced morula >32 cell stage Advanced morula enters uterine cavity on day 4 Blastocyst is formed by end of day 4 covered with zona pellucida